Koeppe's nodules are type of ?
1. Granulomatous uveitis
2. Non granulomatous uveitis
3. Coroiditis
4. Pars planitis

Correct answer: 1. Granulomatous uveitis

Explanation: Ans. is 'a' i.e., Granulomatous uveitis Iris nodules There are many types of nodules that develop on iris in granulomatous uveitis :- Keoppe nodule :- Seen at pupillary margin. Busacca's nodule :- Seen on the peripheral part of anterior surface of iris. Tubercular nodules :- Scattered throughout the iris and ciliary body, mostly in stroma. They are more common at pupillary margin. Syphilitic nodules :- At pupillary margin. Sarcoid nodules :- At pupillary margin or in the stroma of the iris.